What is the earliest bony change of osteomyelitis on X-rays?
1. Loss of soft tissue planes
2. Periosteal reaction
3. Sequestrum formation
4. Lytic defects

Correct answer: 2. Periosteal reaction

Explanation: Pyogenic osteomyelitis on X-ray in 24-48 hours will show loss of soft tissue planes (earliest change on X-ray). Day 7 to 10-solid periosteal reaction (earliest bony change on X-ray).